Drug which inhibits the reuptake of norepinephrine into presynaptic membrane is
1. Cocaine
2. Lidocaine
3. Procaine
4. Botulinum toxin

Correct answer: 1. Cocaine

Explanation: Cocaine and TCAs inhibit reuptake of neurotransmitters.